Which of the following is not a primary mandibular space
1. Buccal
2. Sublingual
3. Submandibular
4. Pterygomandibular

Correct answer: 4. Pterygomandibular